Drugs used for anaesthesia in hypotensive is
1. Propofol
2. Ketamine
3. Thiopentone
4. None

Correct answer: 2. Ketamine

Explanation: Ketamine raises the BP, therefore is the induction agent of choice in hypotensive states and shock.(Refer: stoelting's pharmacology and physiology in anaesthetic practice, 5th edition, pg no.294)